A 35-year old male with a history of severe bronchial asthma for several months now complains of weight gain and the development of purple stretch marks. Physical examination showed BP - 149/95 mmllg. supraclavicular fullness. The skin was thinned out with areas of bruising. Neurological examination revealed deceased strength in the proximal muscles. Laboratory investigation showed reduced serum cortisol and reduced plasma ACTH. An electrolyte workup in this patient will most likely reveal His condition is most likely due to a/an
1. Pituitary tumor
2. Tumor of the adrenal cortex
3. Iatrogenic cause
4. Lung cancer

Correct answer: 3. Iatrogenic cause

Explanation: patient developed iatrogenic cushing syndrome. Bronchial asthma (BA) and Allergic rhinitis (AR) are common clinical problems encountered in day to day practice, where inhalational corticosteroids (ICS) or intranasal steroids (INS) are the mainstay of treatment. Iatrogenic Cushing syndrome (CS) is a well known complication of systemic steroid administration Ref Davidson edition23rd pg 570